Which group of organism is responsible for transmitting endemic typhus?
1. Flea
2. Tick
3. Mite
4. Mosquito

Correct answer: 1. Flea

Explanation: The etiologic agent of endemic typhus (murine typhus fever or fleaborne typhus) is Rickettsia typhi, a Gram-negative bacterium and obligate intracellular pathogen. Reservoirs include rats, mice, possibly other mammals, and infected rat fleas. Endemic typhus has a worldwide occurrence.